Which one of the following is not strategy under Roll Back Mlaria -
1. Strengthening of helth system
2. Use of insecticide treated bed nets
3. Anti-larval measures
4. Development of new antimalaria drugs

Correct answer: 3. Anti-larval measures

Explanation: Antilarval measures. Reference: Roll Back Malaria Website.